Normal Beat to beat variability in an NST on a term fetus is ?
1. 25-Jun
2. 5-Jan
3. >25
4. any variability which is above 110 baseline is normal

Correct answer: 1. 25-Jun

Explanation: Beat-to-Beat Variability - - Fetal heart variability is divided into four types: 1. Absent : Undetectable change in amplitude 2. Minimal: <= 5 bpm in range 3. Moderate : 6-25 bpm 4. High: > 25 bpm